Which one is not poor prognostic factor for acute pancreatitis:
1. Hyperglycemia
2. Hypocalcemia
3. Raised LDH level in blood
4. Hyperamylasemia

Correct answer: 4. Hyperamylasemia

Explanation: Answer is D (Hyperamylasemia) Serum amylase levels do not form any criteria for prognosis in acute pancreatitis. Hyperglycemia, Hypocalcemia and raised LDH levels are poor prognostic factors according to Ranson's criteria.